Aflatoxins are produced by ?
1. Aspergillus flavus
2. Aspergillus niger
3. Aspergillus fumigatus
4. Candida

Correct answer: 1. Aspergillus flavus

Explanation: Ans. is 'a' i.e., Aspergillus flavus . Aflatoxins are produced primarily by filamentous fungi Aspergillus flavus and Aspergillus parasiticus.